Which is not an endopeptidase?
1. Trhypsin
2. Pepsin
3. Chymotrypsin
4. Aminopeptidase

Correct answer: 4. Aminopeptidase

Explanation: Endopeptidases. They act on peptide bonds inside the protein molecule so that the protein becomes successively smaller and smaller units. This group includes Pepsin, Trypsin, Chymotrypsin, and Elastase.Ref: DM Vasudevan, page no: 13